Refraction at anterior surface cornea is maximum because
1. Anterior surface of cornea has smaller curvature
2. There is greater difference between refractive indices of air & cornea
3. It is avascular transparent tissue
4. All of the above

Correct answer: 2. There is greater difference between refractive indices of air & cornea